Phenytoin causes gingival:
1. Inflammation
2. Hyperplasia
3. Atrophy
4. Aplasia

Correct answer: 2. Hyperplasia